From which of the following arteries does the sphenopalatine artery arise?
1. External carotid
2. Facial
3. Maxillary
4. Ophthalmic

Correct answer: 3. Maxillary

Explanation: EXTERNAL CAROTID SYSTEM 1. Sphenopalatine artery (branch of maxillary artery) gives nasopalatine and posterior medial nasal branches. 2. Septal branch of greater palatine artery (branch of max- illary artery). 3. Septal branch of superior labial artery (branch of facial artery). Ref : ENT textbook by Dhingra 6th edition Pgno : 177